Associative learning
1. Associated with consciousness
2. Includes skills and habits
3. Relation of one stimulus to another
4. Facilitation of recognition of words

Correct answer: 3. Relation of one stimulus to another

Explanation: In associative learning, the organism learns about the relation of one stimulus to another.Ref: Ganong's review of medical physiology; 23rd edition; pg:290.